Early granulation tissue in acute myocardial infarction is seen within:
1. 1 hr
2. 24 hr
3. 1 week
4. 1 month

Correct answer: 3. 1 week

Explanation: 1 week